Variant of papillary carcinoma thyroid
1. Medullary
2. Warthin
3. Columnar cell
4. Insular

Correct answer: 3. Columnar cell

Explanation: Papillary carcinoma common in female and younger age group . Its called hormone dependend tumour. Types: tall cell type - very aggresive type show capsular and vascular invasion. Columnar type- seen in males . Treatment :total oe near total thyroidectomy Suppresive dose of L thyroxine. SRB's Manual of Surgery.Edition -5. Pg no:480